Foreign body from trachea most common goes to right bronchus due to ?
1. Right bronchus shallow
2. Wider & in continuous line with trachea
3. Right bronchus is longer
4. Right bronchus is horizontal

Correct answer: 2. Wider & in continuous line with trachea

Explanation: Trachea bifurcates at Carina (at lower border of T4 vertebra at T4-T5 disc space) into right and left principal (primary) bronchi. Right principal bronchus is wider, shorter (2.5 cm long), and more vertical in the line of trachea (25deg with median plane). Therefore a foreign body is most likely to lodge in the right bronchus.